Raised calcium and phosphorous seen in:
1. CRF
2. Vitamin D intoxication
3. Hyperparathyroidism
4. Pseudohypoparathyroidism

Correct answer: 2. Vitamin D intoxication

Explanation: Answer is B (Vitamin D intoxication): Vitamin D intoxication is associated with both hypercalcentia and hyperphosphatemia Chronic Renal Failure is associated with hyperphosphatemia and hyporcalcemia Hyperparathyroidism is associated with hypercalcemia and hypophosphatemia Pseudohypoparathyroidism is associated with hypocalcemia and hyperphosphatemia Causes of Hyperphosphatemia I. Impaired renal phosphate excretion A. Renal insufficiency B. Hypoparathyroidism Developmental Autoimmune After neck surgery or radiation Activating mutations of the calcium-sensing receptor C. Parathyroid suppression 1. Parathyroid-independent hypercalcemia Vitamin D or Vitamin A intoxication Sarcoidosis, other granulomatous disease Immobilization, osteolytic metastases Milk-alkali syndrome 2. Severe hypermagnesia or hypomagnesemia D. Pseudohypoparathyroidism E. Acromegaly F. Tumoral calcinosis G. Heparin therapy II. Massive extracellular fluid phosphate loads A. Rapid administration of exogenous phosphate (intravenous, oral, rectal) B. Extensive cellular injury or necrosis Crush injuries Rhabdomyolysis Hyperthermia Fulminant hepatitis Cytotoxin therapy Severe hemolytic anemia C. Transcellular phosphate shifts Metabolic acidosis Respiratory acidosis